In humans, cortex of hair is usually:
1. Double that of medulla
2. Same as medulla
3. 4-10 times broader than the medulla
4. Thin in comparison to medulla

Correct answer: 3. 4-10 times broader than the medulla

Explanation: Ans. 4-10 times broader than the medulla